Angiography is the investigation of choice in:
1. Posterior vitreous detachment
2. Rhegmatogenous retinal detachment
3. Retinoschisis
4. Central serous retinopathy

Correct answer: 4. Central serous retinopathy

Explanation: Ans. Central serous retinopathy